A person sustains head trauma leading to transection of pituitary stalk. All can be consequence of this, except -
1. SIADH
2. Diabetes mellitus
3. Diabetes incipidus
4. Hyperprolactinemia

Correct answer: 2. Diabetes mellitus

Explanation: diabetes mellitus is a multi system disorder due to genetic and environmental factors ( Harrison 17 pg 2275)